Transfer of the graft of different species are called as
1. Isograft
2. Allograft
3. Homograft
4. Xenograft

Correct answer: 4. Xenograft

Explanation: Ref harsh Mohan 6/e p65 Xenograft: A surgical graft of tissue from one species to an unlike species (or genus or family). A graft from a baboon to a human is a xenograft. The prefix "xeno-" means foreign. It comes from the Greek word "xenos" meaning stranger, guest, or host.